Glomerulonephritis is NOT a feature of:
1. Granulomatosis with polyangiitis (Wegener's)
2. Churg-Strauss syndrome
3. Microscopic polyangiitis
4. Polyarteritis nodosa

Correct answer: 4. Polyarteritis nodosa

Explanation: In Polyarteritis nodosa the pathology in the kidney is that of arteritis without glomerulonephritis. In patients with significant hypertension, typical pathologic features of glomerulosclerosis may be seen. Ref: Harrisons principles of internal medicine, 18th edition, Page: 2794.